Renal stones which are laminated and irregular in outline are
1. Uric acid
2. Calcium oxalate
3. Struvite
4. Cystine

Correct answer: 2. Calcium oxalate

Explanation: Calcium oxalate stones are laminated and irregular in shape and covered with sharp projections which cause bleeding. The surface of these stones are thus discoloured by altered blood- brown in colour- mulberry stones Reference : page 1296 Bailey and Love's short practice of surgery 25th edition